Which of the following would be seen in late HIV cases?
1. Kaposi's Sarcoma
2. Oral hairy leukoplakia
3. Gingivitis/periodontitis
4. All of the above

Correct answer: 4. All of the above